A patient with Barrett's esophagus underwent chromoendoscopy. Dye used in this patient for detection of cancer is:
1. Gentian violet
2. Toluidine blue
3. Hematoxylin and eosin
4. Methylene blue

Correct answer: 4. Methylene blue

Explanation: Methylene blue dye is taken up by the cytoplasm or absorptive cells such as the normal epithelial cells of the colon and small intestine and goblet cells, which are present in Barrett's epithelium. It will not stain nonabsorptive normal epithelium of the stomach as is found in the cardia and fundus, or normal squamous mucosa of the esophagus. Also know: Chromoendoscopy is a technique for enhancing mucosal detail by spraying a variety of colored solutions. Agents used for chromoendoscopy are; Vital dyes Methylene blue Lugol's solution Toluidine blue Contrast agents Indigo carmine Dilute acetic acid solution Ref: Endoscopic Oncology: Gastrointestinal Endoscopy and Cancer Management edited by Douglas O. Faigel, Michael L. Kochman, 2006, Page 20.